Negri bodies are found in:
1. Vaccina
2. Rubella
3. Rabies
4. Fowl pox

Correct answer: 3. Rabies

Explanation: Rabies